which part of Proximal humerus fracture has maximum chances of avascular necrosis?
1. One part
2. Two part
3. Three part
4. Four part

Correct answer: 4. Four part

Explanation: Four part fracture has a high incidence of avascular necrosis Refer : maheshwari 9th ed